Macrophage activation syndrome is characterized by all except __________
1. Hemophagocytosis
2. Hypofibrinogenemia
3. Hyperiglycidemia
4. Hypoferritenemia

Correct answer: 4. Hypoferritenemia

Explanation: Macrophage activation syndrome is characterised by all if the listed feature except Hypoferritenemia . Macrophage activation syndrome(MAS) is rare but potentially fatal complication of systemic JIA. It is characterized by the following: Macrophage hemophagocytosis in the bone marrow Hypofibrinogenemia (paradoxical fall in erythrocyte sedimentation rate ) (ESR) Hypertriglyceridemia Extreme hyperferritinemia Fever > 38.5oC Splenomegaly Cytopenia affecting atleast two or three cell lineages. Reference : nelson textbook of pediatrics 21st edition Pgno: 1262